Not true about viral envelop-
1. Lipid is derived from host cells
2. Protein is derived from virus itself
3. Dissolves in solvent
4. Propagates in next generation

Correct answer: 4. Propagates in next generation

Explanation: Ans. is 'd' i.e., Propagates in next generation o Envelope is lipoprotein in nature, lipid is derived from host cell, while protein is virus coded,o Enveloped viruses are susceptible to the action of lipid solvents like ether\ chloroform and bile salts.o Envelop is not propagated in next generation. Rather progeny virions synthesize new envelop (by self protein and host lipid). Sequence of events is as follows :-Attachement of parent enveloped virus into host cell|Uncoating (removal) of envelop with injection of viralnucleic acid into host cell|Multiplication of nucleic acid and synthesis of structural protein|Maturation of daughter virion|Envelope (lipid) derived from host cell membrane duringthe process of budding|Incorporation of virus coded protein in lipid envelop derivedfrom host cells to make lipoprotein envelop|Release of progeng virions